Schwangershaft protein is the other name of
1. HCG
2. Papp-1
3. Pregnancy specific betal 1 glycoprotein
4. Activin

Correct answer: 3. Pregnancy specific betal 1 glycoprotein

Explanation: Schwangershaft Protein:

It is the other name for pregnancy specific B1 glycoprotein.
Produced by trophoblast.
Can be detected 18 days after ovulation.
Its concentration rises steadily and reaches 200 mg/ml at term.
Role-measure of placental function for fertility control.